Not seen in primary pulmonary hypertension
1. Left parasternal heave
2. Right parasternal heave
3. Single S2
4. Pulmonary ejection click

Correct answer: 2. Right parasternal heave